True about proton-pump inhibitor omeprazole is
1. Not bind to plasma protein
2. CYP2C19 predicts efficacy
3. Oral bioavailability is 80%
4. All of the above

Correct answer: 2. CYP2C19 predicts efficacy

Explanation: CYP 2C19 is the principal enzyme that metabolizes omeprazole to an inactive metabolite. The efficacy of drug-influenced by the CYP 2C19 genotype. 


 Reduced CYP2C19 enzyme activity (poor metabolizers) may lead to higher exposure to the drug and improve outcome at standard doses.
 In contrast, increased CYP2C19 activity (ultrarapid metabolizers) may have an insufficient response to treatment as the drug is inactivated faster.


 Omeprazole is highly plasma protein bound drug,
 It has oral bioavailability around 50%